Congenital syphilis can be best diagnosed by –
1. IgM FTA–ABS
2. IgG FTA–ABS
3. VDRL
4. T P I

Correct answer: 1. IgM FTA–ABS